Which of the following is an example of static method of recording centric relation?
1. Intraoral records
2. Needles
3. House
4. Paterson

Correct answer: 1. Intraoral records